Plumbism is due to chronic poisoning with:
1. Arsenic
2. Lead
3. Mercury
4. Copper

Correct answer: 2. Lead

Explanation: Ans. Lead